Which of these statements is false for Erytherma marginatum :
1. Lesions are serpiginous
2. Characteristically it is an evanescent
3. Rash worsens on application of heart
4. Rash is itchy

Correct answer: 4. Rash is itchy

Explanation: D i.e. Rash is itchy These rashes in Erythema marginatum are transient, migrating from place to place, non-pruritic, not indurated and blanch on pressure. Q Erythema Marginaturn It is one of the major criteria for diagnosis of rheumatic fever - Extermely rare in Indians It is an evanescent macualar eruption with rounded or serpiginous borders.Q These are erythematous pink rashes with a clear center and round or serpiginous margin.Q - Not raised above the skin. They are brought on by application of heat Q. Most commonly seen on the trunk and proximal parts of extremities, but never on face.